Duplex ultrasonography combines:
1. A-mode imaging and pulse-wave Doppler examination
2. B-mode imaging and pulse-wave Doppler examination
3. M-mode imaging and power Doppler examination
4. M-mode imaging and waveform analysis

Correct answer: 2. B-mode imaging and pulse-wave Doppler examination

Explanation: Ans. B. B-mode imaging and pulse-wave doppler examinationAn objective assessment of the severity of disease is obtained by noninvasive techniques. These include digital pulse volume recordings, doppler flow velocity waveform analysis, duplex ultrasonography (which combines b-mode imaging and pulse-wave doppler examination), segmental pressure measurements, transcutaneous oximetry, stress testing (usually using a treadmill), and tests of reactive hyperemia.